In which of the following vegetation are friable and easily detachable from the cardiac valves -
1. Rheumatic fever
2. Rheumatoid heart
3. SLE
4. Infective endocarditis

Correct answer: 4. Infective endocarditis

Explanation: Ans. is 'd' i.e., Infective endocarditis o The hallmark of infective endocarditis is the presence of large, friable, bulky, potentially destructive vegetation containing fibrin, inflammatory cell, and bacteria. o Emboli may be shed from vegetation at any time because of detachment. Also know o Vegetations of NBTE may also be friable and detachable to produce emboli. But they are small and non-destructive.